Which of the following is true regording singer's nodule
1. Laser theropy is tratment of choice
2. Requires excision as it potentially malignant
3. Most common symptom is pain
4. It occurs at junction of anterior 1/3rd 7 posterior 2nd

Correct answer: 4. It occurs at junction of anterior 1/3rd 7 posterior 2nd

Explanation: Is berign not maligrant
Micro laryngeal surgery is treatment of choice
M/C symptom is haarsness of voice